Palatal connector component of less than 8 mm width, is referred to as:
1. Strap
2. Bar
3. Plate
4. None

Correct answer: 2. Bar